All are advantages of removable space maintainers EXCEPT
1. Easy to clean
2. Permit maintenance of proper oral hygiene
3. They maintain vertical dimension
4. Band construction is necessary

Correct answer: 4. Band construction is necessary